Athletic syndrome is characterized by -
1. Increased amplitude of QRS
2. Tachycardia
3. Decreased QT interval
4. U-waves

Correct answer: 1. Increased amplitude of QRS

Explanation: increased amplitude of QRS complex is a feature of athletes heart they have bradycardia decreased QT interval and U waves are not seen Ref Harrison 20th edition pg 1435